Which one of the following veins should be avoided for intravenous infusion in the managment of abdominal trauma -
1. Cubital
2. Cephalic
3. Long saphenous
4. External jugular

Correct answer: 3. Long saphenous